A middle aged man presents with progressive atrophy and weakness of hands & forearms. On examination he is found to have slight spasticity of the legs, generalized hyper-reflexia and increased signal in the cortico-spinal tracts on T2 weighted MR1. The most likely diagnosis is :
1. Multiple sclerosis
2. Amyotrophic lateral sclerosis
3. Subacute combined degeneration
4. Progressive spinal muscular atrophy

Correct answer: 2. Amyotrophic lateral sclerosis

Explanation: Answer is B (Amyotrophic lateral sclerosis) : The presence of both lower motor neuron features (progressive atrophy and weakness of hands and firearms) and upper motor neuron features (spasticity and hyper reliever, in the patient leads us to the diagnosis of .-bnyotrophic lateral sclerosis. Increased signal in the corticospinal tracts on T2 weighted MRI is characteristic MR/ finding.